Level of hardness in soft water
1. < 1meq/L
2. 1-3meq/L
3. 3-6meq/L
4. >6meq/L

Correct answer: 1. < 1meq/L

Explanation: Soft water: < 1 mEq/LModerately hard: 1-3 mEq/LHard water: 3-6 mEq/LVery hard water: >6 mEq/LPark 23e pg: 727